Which MRI sequence is used to detect brain edema?
1. T1WI
2. FLAIR
3. SWI
4. DWI

Correct answer: 2. FLAIR

Explanation: FLAIR stands for Fluid Attenuation Inversion Recovery Sequence This sequence is similar to T2 with suppression of CSF/Fluid signal so the Brain Edema can be seen better. Figure: FLAIR image showing edema in bilateral occipital lobe in a case of PRES(posterior reversible encephalopathy syndrome).